Mr. C P Patel is having carcinoma colon of left side, comes to emergency department with obstruction. What will be the best treatment to be given
1. Hartman's procedure
2. Defunctioning colostomy
3. Lieotransverse anastomosis
4. Transverse colostomy

Correct answer: 1. Hartman's procedure

Explanation: .Obstruction due to rectosigmoid growth with patient being severely ill--Hartmann's operation can be done to save the life of the patient wherein distal stump after removal of the growth is closed, proximal colon is brought out as end colostomy ref:SRB 's manual of surgery,ed 3,pg no 857.